The beneficial effects of nitrates in the treatment of angina include the following except:
1. Decreased arterial pressure
2. Decreased ventricular volume
3. Decreased diastole perfusion time
4. Decreased ejection time

Correct answer: 3. Decreased diastole perfusion time

Explanation: cRef: KDT, 5th ed, p. 488-489 & 4th ed, p. 522-523